AML with gum infiltration, hepatosplenomegaly is most likely to be
1. ALL
2. M2
3. M7
4. M4 and M5

Correct answer: 4. M4 and M5

Explanation: Solution:
Leukemic infiltration of the Gingivar resulting in gum hypertrophy is a frequent finding of myelomonocytic (M4) and Monocytic (M5) leukemia.